IOC for polyscystic kidney disease
1. USG
2. MRI
3. IVU
4. CECT

Correct answer: 1. USG